The following is used to measure resting membrane potential in case of multiple ions
1. Goldman
2. Nernst
3. Both
4. None

Correct answer: 1. Goldman

Explanation: At equilibrium potential there is no movement of ions Nernst equation is used to measure equilibrium potential for single ion Goldman is used in case of multiple ions Ref:Guyton and Hall textbook of medical physiology 12th edition,page number:35,36,39